Criteria for diagnosis of diabetes mellitus is
1. Fasting plasma glucose > 100 mg/dl
2. 2h plasma glucose after a glucose challenge >=140 mg/d
3. 2h plasma glucose after a glucose challenge >=180 mg/dl
4. Hemoglobin A1c (HbA1c) >= 6.5%

Correct answer: 4. Hemoglobin A1c (HbA1c) >= 6.5%

Explanation: Pre-diabetes /increased risk for diabetesDiabetes mellitusFasting plasma glucose(Fasting is defined as no caloric intake for at least 8 h)100-125 mg/dL>=126 mg/dL2-h plasma glucose after a glucose challenge (75 g glucose)140-199 mg/dL>=200 mg/dLHemoglobin A1c (HbA1c)5.7-6.4%>=6.5%Random blood glucose concentrationSymptoms of diabetes plus random blood glucose concentration>=200 mg/dLRef: Harrison 19e pg: 2399